Glucose tolerance test is usually done to assess:
1. Acute pancreatitis
2. Carcinoma of head of pancreas
3. Acinar function of the pancreas
4. Endocrine dysfunction of pancreas

Correct answer: 4. Endocrine dysfunction of pancreas